Androgen insensitivity syndrome, true statement is :
1. Phenotype may be completely female
2. Predominantly ovarian component in gonads
3. Always in female
4. Testes formed abnormally and receptors are normal

Correct answer: 1. Phenotype may be completely female

Explanation: Features phenotype is female Karyotype is 46,XY Gonads are testis formed in the inguinal canal lack axillary and pubic hair absent uterus and upper vagina SHAW'S TEXTBOOK OF GYNAECOLOGY,Pg no:284,15th edition